Peripheral level health workers are all except?
1. Anganwadi workers
2. DAIS
3. Gram Sevak
4. VHNS

Correct answer: 3. Gram Sevak

Explanation: Ans. is 'c' i.e., Gram Sevak